Which of the following NSAID is an anthranilic acid derivative?
1. Mefenamic acid
2. Sulindac
3. Nimesulide
4. Diclofenac

Correct answer: 1. Mefenamic acid

Explanation: Mefenamic acid and meclofenamate are N-substituted phenyl anthranilic acids. Sulindac is an indole derivative. Nimesulide is a sulfonanilide derivative Diclofenac is an aryl - acetic acid derivative. Ref: Grosser T., Smyth E. (2011). Chapter 34. Anti-inflammatory, Antipyretic, and Analgesic Agents; Pharmacotherapy of Gout. In L.L. Brunton, B.A. Chabner, B.C. Knollmann (Eds), Goodman & Gilman's The Pharmacological Basis of Therapeutics, 12e.